Pain in early labour is limited to dermatomes-
1. T11 T12 L1
2. S1 S3
3. L4 L5
4. L2 L3

Correct answer: 1. T11 T12 L1

Explanation: Labor pain caused by uterine contractions and cervical dilation is transmitted through visceral afferent sympathetic nerves entering the spinal cord from T10 - L1. Later in labor, perineal stretching transmits painful stimuli through the pudendal nerve and sacral nerves S2 - S4.